About degenerative myopia which of the following is true:
1. Myopic degeneration can lead to retinal detachment
2. It is more common in men than women
3. Less than -6 D
4. Optic disc swelling is seen

Correct answer: 1. Myopic degeneration can lead to retinal detachment

Explanation: Ans. (a) Myopic degeneration can lead to retinal detachmentRef: Kanski 7/e, p. 637; Parson's 22/e, p. 72"Rhegmatogenous retinal detachment (RD) is much more common in high myopia, the pathogenesis including increased frequency of posterior vitreous detachment, lattice degeneration, asymptomatic atrophic holes. Macular holes and occasionally giant retinal tears. The prevalence of retinal detachment appears to be related to the severity of myopia."Optic disc swelling (pseudopapillitis) seen in hypermetropia.